Which of the following is a contraindication for medical management of Gall stones:
1. Radio-opaque stones
2. Radioluscent stones
3. Normal functioning gall bladder
4. Small stones

Correct answer: 1. Radio-opaque stones

Explanation: Contraindications for medical management are: 1. Radio-opaque concretions 2. Gallstones >20mm in diameter 3. Non opacified gall bladder 4. Acute &/or chronic cholecystitis 5. Complications of gallstones 6. Poor patient compliance In carefully selected patients with a functional GB and with radiolucent stones of <10 mm diameter medical management has been useful. Ref: Gallstone disease in the elderly By Giuseppe Del Favero, Pilotto, F. Di Mario, Page 61; Harrison's 16th/1884